Chronic subdural hematoma is caused by -
1. Rupture of bridging veins
2. Fracture skull bones
3. Subarachnoid hemorrhage
4. Hypertension

Correct answer: 1. Rupture of bridging veins